Which of the following hepatitis virus have significant perinatal transmission
1. Hepatitis-E virus
2. Hepatitis-C virus
3. Hepatitis-B virus
4. Hepatitis-A virus

Correct answer: 3. Hepatitis-B virus

Explanation: Hepatitis -B Mother To Child Transmission (MTCT) is 90% when mother is HBsAg and HBeAg Positive Vertical transmission is 10% in mother with negative HBe Ag